Drug of choice for Mycoplasma pneumoniae is :
1. Penicillin
2. Tetracycline
3. Cefuroxime
4. Erythromycin

Correct answer: 4. Erythromycin

Explanation: Answer is D (Erythromycin):